Child with history of Rh incompatibility is brought to OPD with jaundice, irritability and convulsions most common cause
1. Kemicterus
2. Physiological jaundice
3. Hyperpyraxia
4. Meningitis

Correct answer: 1. Kemicterus

Explanation: (A) Kernicterus # Kernicterus is the pathological findings of bilirubin (un-conjugated) toxicity within the brain.> The main transporter of bilirubin is albumin therefore increase in albumin causes less bilirubin to be transported to the brain> This includes staining & necrosis of neurons in the basal ganglia, hippocampal cortex, subthalamic nuclei and cerebellum followed by gliosis of these areas.> The cerebral cortex is generally spared, but 50% of babies have extra neuronal lesions with necrosis of renal tubular cells, intestinal mucosa and pancreatic cells.> These may manifest as gastrointestinal hemorrhage or hematuria.> Clinically, kernicterus is described in phases, which may progress over 24 hours to 7 days